Which one of the following drugs increases gastrointestinal motility -
1. Glycopyrrolate
2. Atropine
3. Neostigmine
4. Fentanyl

Correct answer: 3. Neostigmine

Explanation: Ans. is 'c' i.e., Neostigmine Cholinergic drugs and antiadrenergic drugs increase G.I. motility. o Anticholinergic drugs and adrenergic drugs decrease GI motility. o Amongst the given options, neostigmine is cholinergic (anticholinesterase). o Glycopyrrolate and atropine are anticholinergics. o Fentanyl is an opioid and opioids decrease intestinal motility.